Charcot's triad is defined by all of the following except:
1. Fever
2. Gall stones
3. Jaundice
4. Pain

Correct answer: 2. Gall stones

Explanation: Ans. B: Gall stones Cholangitis is due to partial or complete obstruction of the biliary tree with resulting bile stasis and secondary bacterial or microbial infection of the biliary tree Causes ? Common bile duct stones Benign biliary stricture (primary sclerosing cholangitis) Malignancy (head of pancreas adenocarcinoma, ampulla of Vater, bile duct tumors) Chronic pancreatitis Prosthesis or stents in the common bile duct Features: Charcot's triad - right upper quadrant pain, fever, jaundice Reynolds' pentad - right upper quadrant pain, fever, jaundice, hypotension, and mental status changes (delirium, anxiety, and coma) Nausea and/or vomiting Right upper quadrant tenderness (mild to moderate)